During hip replacement, loss of joint and ligament receptors leads to:
1. No loss of sensation
2. Loss of all sensations
3. Joint sensation lost in stable position
4. Decrease in movements and decrease in sensation

Correct answer: 1. No loss of sensation

Explanation: Ans. a. No loss of sensation During hip replacement, loss of joint and ligament receptors leads to no loss of sensation. "Loss of joint and ligament receptors during hip replacement is not associated with any loss of sensations; whereas during knee replacement can lead to loss of proprioception in the involved limb/s."